Stellate cells of von Kuiffer are seen in the sinusoids of which of the following organs ?
1. Spleen
2. Bone marrow
3. Liver
4. Adrenal

Correct answer: 3. Liver

Explanation: C i.e. Liver